Which of the following is not an adverse effect of salbutomol
1. Tachycardia
2. Tolerance
3. Hypokaelemia
4. Hypoglycemia

Correct answer: 4. Hypoglycemia

Explanation: Refer KDT 6/e p 127 Beta 2 agonists like salbutomol and terbutaline can cause several adverse effects like Tachycardia due to stimulation of chronotropin beta 2 receptors Tremors may result due to stimulation of muscle spindle Tolerance may develop due to desensitization of receptors